Basal cell carcinoma commonly spreads by -
1. Lymphatics
2. Haematogenous
3. Direct spread
4. All the above

Correct answer: 3. Direct spread